True about childhood tumor are all except ?
1. Wilm's tumor
2. Neuroblastoma
3. Retinoblastoma
4. Pleomorphic rhabdomyosarcoma

Correct answer: 4. Pleomorphic rhabdomyosarcoma

Explanation: Ans. is 'd' i.e., Pleomorphic rhabdomyosarcoma There are four histological rhabdomyosarcoma : ? i) Embryonal type (60%) ii) Botryoid type is a type of embryonal form Common in childhood iii) Alveolar type (15%) Pleomorphic type (adult form) is rare in childhood and accounts for only 1% of cases. o Wilm's tumor, neuroblastoma and retinoblastoma are the tumors of childhood.